Small muscles of hand are supplied by:
1. Ci
2. C5
3. C6
4. Cs

Correct answer: 4. Cs

Explanation: D. i.e. Cs;All small muscles of hand i.e. thener, hypothenar, interossei & lumbricals are supplied by Cs, T1Q nerve roots